Prognosis for carcinoma rectum is best assessed by -
1. Site of tumour
2. Histological grading
3. Size of tumours
4. Duration of the symptoms

Correct answer: 2. Histological grading

Explanation: No effect on Prognosis: Tumor size and duration of symptoms.
Tumor size and configuration (endophytic, exophytic, annular) do not carry any prognostic significance in colorectal carcinoma.